Best prognosis in nerve injury?
1. Neuropraxia
2. Axonotmesis
3. Neurotmesis
4. Complete transection

Correct answer: 1. Neuropraxia

Explanation: Type of injury Pathology Degeneration Neuroma Prognosis Neuropraxia Physiological interruption, anatomically normal Nil Nil Recovery complete within 6 weeks Axonotmesis Axons broken, nerve intact Proximally +distally Neuroma in continuity Recovery +/-, motor march + Neurotmesis Axons as well as nerve broken Proximally + distally End or side neuroma Recovery poor